Burns with vesiculation of the epidermis and upper dermis is
1. 1st degree
2. 2nd degree
3. 3rd degree
4. 4th degree

Correct answer: 2. 2nd degree

Explanation: Second degree burns Partial thickness burn Involve epidermis and some part of dermis Divided into : Superficial and deep second degree Superficial second degree Involve upper layer of dermis (papillary dermis) Erythematous Blisters are seen Blanch to touch Painful Heals without scarring in 7-14 days Deep second degree burns Also known as deep partial thickness burn Injury extends to reticular layer of dermis Dont blanch Mottled pink and white colour of wound surface Capillary refilling is absent or occurs slowly Pain is absent Pin-prick sensation is absent or occurs slowly Heals in 3-9 weeks with scar formation Ref: Sabiston 20th edition Pgno : 506-507